Lid retraction is caused by?
1. Bimatoprost
2. Latanoprost
3. Brimonidine
4. Apraclonidine

Correct answer: 4. Apraclonidine

Explanation: Ref:KD Tripathi pharmacology 7th edition (page.no: 154) Apraclonidine causes eyelid retraction due to stimulation of a1 receptor. Brimonidine cause less prominent lid retraction due to weaker a1 activity Ref-Drug facts and comparison 2006/2257